Hemophilia A results due to deficiency of which of the factors:
1. II
2. VII
3. VIII
4. XI

Correct answer: 3. VIII

Explanation: Ans. C. VIIIHaemophilia's are the most common hereditary clotting defects occurring as X-linked recessive disorders. Haemophilia A is caused by factor VIII deficiency and haemophilia B due to factor XI deficiency: